Thompson and Epstein's classification is used in the management of :
1. Fracture neck of femur
2. Anterior dislocation of hip
3. Central dislocation of hip
4. Posterior dislocation of hip

Correct answer: 4. Posterior dislocation of hip

Explanation: Thompson and Epstein classification - For planning treatment of Posterior dislocation of hip Type I Dislocation with no more than minor chip fractures Type II Dislocation with single large fragment of posterior acetabular wall Type III Dislocation with comminuted fragments of posterior acetabular wall Type IV Dislocation with fracture through acetabular floor Type V Dislocation with fracture through acetabular floor and femoral head. =Open reduction is indicated if closed reduction is not possible in 2 or 3 attempts,or dislocation is associated with fracture.